Retinal detachment is not seen in –
1. High myopia
2. Aphakia
3. Choroiditis
4. Hypermetropia

Correct answer: 4. Hypermetropia

Explanation: Myopia and aphakia can cause rheugmatogenous retinal detachment.
Choroiditis (Harada's disease) can cause exudative retinal detachment.